All are false except
1. Sweat glands are most numerous on back & least on sole
2. Palm & sole sweat glands are last to appear
3. Sweat duct produce isotonic sweat
4. Hypothalmic preoptic nucleus has key role in sweating

Correct answer: 4. Hypothalmic preoptic nucleus has key role in sweating

Explanation: D i.e. Hypothalmic preoptic nucleus has key role in